Most common paroxysmal symptom of pheochromocytoma:
1. Headache
2. Palpitation
3. Abdominal pain
4. Hypotension

Correct answer: 1. Headache

Explanation: Answer is A (Headache): The single most common paroxysmal symptom reported in patients with pheochromocytoma is headache 'Most adult patients have paroxysmal symptoms, lasting minutes to hours, consisting of headache (80%), perspiration (70%), and palpitations (60%)' - Endocrine Tumors (PMPH-USA, 2003)/ 104 The three most commonly reported paroxysmal symptoms in pheochromocytoma are Headache, Palpitations and Excessive or inappropriate sweating. Almost all patients will have one of three symptoms above and most will have at least two. The most common and predominant sign of Pheochromocytoma is Hypertension